All are seronegative (spondyloepiphyseal) arthritis with ocular manifestations, except?
1. Ankylospondilitis
2. Ritter's disease
3. Rheumatoid arthritis
4. Psoriatic arthritis

Correct answer: 3. Rheumatoid arthritis

Explanation: Answer is C (Rheumatoid Arthritis) : Rheumatoid arthritis is a seropositive arthritis with autoantibodies against IgG present is in 75% of patients. It is not a seronegative arthritis. The seronegative spondylo arthropathies include - Ankylosing Spondylitis - Psoriatic Arthritis - Arthritis associated with Inflammatory bowel disease - Reiter's syndrome (Reactive arthritis) Characteristic features of these disorders are : - Onset usually before age 40 - Inflammatory Arthritis of spine or large peripheral joints or both - UveitisQ - Absence of Auto antibodies in Serum (i.e. seronegative) - Striking association with HLA-B27Q